All of the following statements are false except
1. Very severe NPDR has a 45% chance of progression to high risk PDR within 1 year
2. Argon laser photocoagulation is contraindicated in cases of Ischemic Maculopathy (DME) if Foveal Avascular zone <1000 microns
3. Panretinal Photocoagulation for PDR should be done in a single sitting as it can lead to visual field defects
4. Aspirin at a dose of 650mg/day slowed the progression of retinopathy

Correct answer: 1. Very severe NPDR has a 45% chance of progression to high risk PDR within 1 year

Explanation: Ans. (a) Very severe NPDR has a 45%. chance of progression to high risk PDR within 1 yearOption a - In the ETDRS, it was found that Severe NPDR had a 15% chance and Very severe NPDR a 45% chance of progression to high risk PDR within 1 year.Option b - Contraindicated if FAZ > 1000 microns Option c - PRP should be done in multiple sittings Option d - In ETDRS study, aspirin use did not alter progression of retinopathy and did not reduce the risk of vitreous hemorrhage.